Gynecomastia is seen in :
1. Secondary syphilis
2. Tuberculoid leprosy
3. HIV
4. Klinefelter's syndrome

Correct answer: 4. Klinefelter's syndrome

Explanation: Features of Klinefelter's syndromemale phenotypeGynaecomastiaSterilityPenis is small or normal in sizeVoice may be high pitchedeunuchoid appearance* Gynaecomastia may be noted in lepromatous leprosySHAW'S TEXTBOOK OF GYNAECOLOGY, Pg no:112,15th edition